Which of the following is an arthropod borne disease-
1. Tetanus
2. Q Fever
3. Scrub typhus
4. Rabies

Correct answer: 3. Scrub typhus

Explanation: Ans. is 'c' i.e., Scrub typhus o Vector bone diseases are the diseases in which an arthropod insect acts as a vector for transmission of infectious agent. Therefore, these diseases are also called as 'Arthropod Borne Diseaseso Among the given options only scrub typhus is transmitted to man by arthropod (mite).Note : In Q-fever, no arthropod is involved in transmission to man. But in extrahuman host, tick acts as a vector for transmission.